Black colored pleural effusion is seen in:
1. Anaerobic empyema
2. Pseudochylothorax
3. Amebic liver abscess
4. Aspergillus infection

Correct answer: 4. Aspergillus infection

Explanation: Type of pleural effusion and appearance: Pseudochylothorax and chylothorax- Milky white Urinothorax- Urine Anaerobic empyema-Putrid Chylothorax-Bile stained Aspergillus infection-Black Empyema-Turbid Amebic liver abscess-"Anchovy" brown Esophageal rupture-Food particles Ref: AJCC AMERICAN JOURNAL OF CRITICAL CARE, March 2011, Volume 20, No. 2